A child can ride a tricycle, copy a circle and knows age sex by the age of -
1. 30 months
2. 42 months
3. 36 months
4. 48 months

Correct answer: 3. 36 months

Explanation: Ans. is 'c' i.e., 36 months